18-year-old girl with primary amenorrhea having a karyotype of 45X0 presents with infantile uterus. What should be done next?
1. Hormone replacement therapy (HRT) to induce puberty
2. Vaginoplasty
3. Clitoroplasty
4. Bilateral gonadectomy

Correct answer: 1. Hormone replacement therapy (HRT) to induce puberty

Explanation: ANS. AThe primary treatments for all girls and women with Turner's syndrome include hormone therapies (growth hormone and estrogen).It is important to identify a Y chromosome because affected individuals are at a risk of gonadoblastoma (20 to 30%). Only in such cases we need to do gonadectomy.Hence, the answer for this question is HRT to induce Puberty.Evaluation of primary amenorrheaSecondary sexual characters|| |Normal* MRKH* AIS* Transverse vaginal septum* Imperforate hymen Absent* Turner's syndrome* Kallman syndrome* Swyer's syndromeAbbreviation: MRKH, Mayer-Rokitansky-Kuster-Hauser; AIS, Androgen insensitivity syndrome